A new born child presents with inverted foot and the dorsum of the foot cannot touch the anterior tibia. The most probable diagnosis is
1. Congenital vertical talus
2. Arthrogryposis multiplex
3. Congenital talipes equino varus
4. Flat foot

Correct answer: 3. Congenital talipes equino varus

Explanation: Examination of CTEV(Clubfoot) Normally the foot of a newborn child can be Dorsi flexed until the dorsum touches the anterior aspect of the shin of the tibia. This is a good screening test for detecting milder variety of club foot. Classic findings Bilateral foot deformity in 60% cases Size of the foot smaller Foot is in equinis, varus and adduction. This can be judged by the Inability to bring the foot in the opposite direction. In late cases in addition cavus of the foot may also be present Heel is small in size, the calcaneum may be felt with great difficulty Deep skin creases on the back of the heel and on the medial side of the sole Bony prominences felt on the lateral side of the foot, the head of the talus and lateral malleolus Outer side of the foot is gently convex. There are dimples on the outer aspect of the ankle. Ref: Textbook of orthopaedics, Maheshwari and Mhaskar 6th edition pgno:212